Patient has lacerated untidy wound of the leg and attended the casualty after 2 hours. His woundshould be -
1. Sutured immediately
2. Debrided and sutured immediately
3. Debrided and sutured secondarily
4. Cleaned and dressed

Correct answer: 2. Debrided and sutured immediately

Explanation: Ans. is 'b' i.e., Debrided and sutured immediately